All of the following are health policy indicators except
1. Political commitment to health for all
2. Resource allocation
3. Disability prevalence
4. Community involvement

Correct answer: 3. Disability prevalence

Explanation: Crucial factors for realization of goals of a National health policy A political commitment Financial implications. Administrative reforms Community participation Basic legislation Ref: Park 25th edition Pgno : 27